Herbert's pits are seen in -
1. Trachoma
2. Spring catarrh
3. Phlyctenular conjunctivitis
4. Sarcoidosis

Correct answer: 1. Trachoma

Explanation: Ans. is 'a' i.e. Trachoma Signs of Trachomao Conjunctival signs:- Congestion, conjunctival follicles (boiled sagograin like), Papillary hyperplasia, conjunctival scarring (Arifs line), concretion.o Corneal signs Superficial keratitis, Herbert follicles, Pannus, Corneal ulcer, Herbert pits, Corneal opacity.